Red cross society was started by
1. FORD
2. Rockefeller
3. Henry Durant
4. World bank

Correct answer: 3. Henry Durant

Explanation: The Red Cross is a non-political, non-official international humanitarian organization devoted to the service of mankind in peace and war. Founded by Henry Dunant.Park 23e pg: 925